Treatment of choice for Warthin's tumor is
1. Enucleation
2. Superficial parotidectomy
3. Radiotherapy
4. Observation

Correct answer: 2. Superficial parotidectomy